Mydriasis is due to
1. Relaxation of ciliary muscle
2. Relaxation of radial muscle
3. Contraction of ciliary muscle
4. Contraction of radial muscles

Correct answer: 4. Contraction of radial muscles